Which of the following is an intra-articular tendon
1. Sartorius
2. Semitendinosus
3. Anconeus
4. Popliteus

Correct answer: 4. Popliteus

Explanation: Popliteus has an intracapsular origin that arises from lateral surface of lateral condyle of femur and from outer margin of lateral meniscus of knee.